NS-1 in dengue, stands for?
1. Non-specific
2. Non-significant
3. Non- structural
4. Non stranded

Correct answer: 3. Non- structural